In renal biopsy specimen Jones methenamine silver stain is used for:
1. Assess cellularity and architecture
2. Stain carbohydrate moieties in the membranes of the glomerular tuft
3. Enhance basement membrane structure
4. Identify collagen deposition

Correct answer: 3. Enhance basement membrane structure

Explanation: A renal biopsy quickly identifies the type of glomerular injury and suggests a course of treatment. The stains used in light microscopy specimen are: 1. Hematoxylin and eosin (H&E) to assess cellularity and architecture 2. Periodic acid-Schiff (PAS) to stain carbohydrate moieties in the membranes of the glomerular tuft and tubules 3. Jones-methenamine silver to enhance basement membrane structure 4. Congo red for amyloid deposits 5. Masson's trichrome to identify collagen deposition and assess the degree of glomerulosclerosis and interstitial fibrosis. Ref: Harrison-18, P-2339.